Mucopolysacchidosis, which is a lysosomal storage disease, occurs due to abnormality in:
1. Hydrolase enzyme
2. Dehydorgenase enzyme
3. Lipase enzyme
4. Phosphatase

Correct answer: 1. Hydrolase enzyme

Explanation: Ans: a. Hydrolase enzyme [Ref Harper 30th/638-39, 29th/589, 599, 600; Lippincott 6th/163-64JThe mucopolysaccharidoses are hereditary diseases caused by a deficiency of any one of the lysosomal hydrolases normally involved in the degradation of heparan sulfate and/or dermatan sulfateThey are progressive disorders characterized by accumulation of glycosaminoglycans in various tissues, causing a range of symptoms, such as skeletal and extracellular matrix deformities, and intellectual disability.Children who are homozygous for any one of these diseases are apparently normal at birth, then gradually deteriorate. In severe cases, death occurs in childhood.Diagnosis is confirmed by measuring the patient's cellular level of the lysosomal hydrolases. Bone marrow and cord blood transplants have been used to treat Hurler and Hunter syndrome